All are cluster C disorders of personality except
1. anxious
2. avoidant
3. scchizoid
4. dependent

Correct answer: 3. scchizoid

Explanation: personality disorders are of several types they can be named mainly as 3 clusters knowledgeof this is necessary for answering a lot of questions CLUSTER A=== paranoid, schizoid, schizotypal CLUSTERB===histironic, borederline, narcisstic, antisocial CLUSTERC====anxious, dependent, anakastic Ref.kaplon and sadock, synopsis of psychiatry,11 th edition, pg no.742